Exclusive breast feeding should be done till what age
1. 3 month
2. 6 month
3. 9 month
4. 1 year

Correct answer: 2. 6 month

Explanation: Exclusive breast feeding is done till 6 months of age. Only breast milk is given.No other food or drink,not even water is given.Medicines,vitamins or mineral drops are permitted if indicated. Page 97,Ghai essential pediatrics 6th edition